Which is first and commonest clinical manifestation of Epidemic dropsy -
1. Bilateral swelling of legs
2. Gastroointestinal upsets
3. Cardiac decomposition
4. Sarcoid

Correct answer: 1. Bilateral swelling of legs

Explanation: Symptoms of epidemic dropsy consist of sudden non inflammatory bilateral swelling of legs. REF. PARK'S TEXTBOOK OF PREVENTIVE AND SOCIAL MEDICAL 21ST EDITION. PAGE NO - 608